Superficial perineal muscles include
1. Iliococcygeus
2. Ischiococcygeus
3. Bulbospongiosus
4. Levator ani

Correct answer: 3. Bulbospongiosus

Explanation: The superficial perineal pouch is a compartment of perineum.Its inferior border is superficial perineal fascia.Superior border is perineal membrane. Superficial perineal pouch consist of :Ischiocavernous muscle , Bulbospongiosus , Superficial transverse perineal muscle etc Ref - BDC 6e Vol2 pg 350